Age to define statuary rape is ?
1. Less than 16 years
2. Less than 17 years
3. Less than 18 years
4. Less than 20 years

Correct answer: 3. Less than 18 years

Explanation: Ans. is 'c' i.e., Less than 18 years After 3 february 2013, age to define rape has been changed.The age of consent in India has been increased to 18 years, which means any sexual activity irrespective of presence of consent with a woman below the age of 18 will constitute statutory rape.